All of the following pathogenic bacteria fulfill Koch's postulates, except?
1. Treponema pallidum
2. Yersinia pestis
3. Bacillus anthracis
4. Helicobacter pylori

Correct answer: 1. Treponema pallidum

Explanation: According to Koch's postulate: it must be possible to isolate a bacterium from the site of lesion and grow it in a cell-free culture medium. Pathogenic Treponemes do not grow in a cell-free artificial culture medium. Ref: Textbook of Microbiology; Ananthanarayan and Paniker; 9th edition; Pg no: 370